In which year did the Kyoto Protocol conic into force?
1. 2001
2. 2003
3. 2005
4. 2007

Correct answer: 3. 2005

Explanation: Ans. is 'c' i.e., 2005